NOT a good prognostic factor for TB spine
1. Young age
2. Rapid onset
3. Good immunity
4. Early onset

Correct answer: 2. Rapid onset